Xylocaine strength used in dentistry is
1. 2%
2. 5%
3. 8%
4. 10% c

Correct answer: 1. 2%